Ribonuclease-P is a ?
1. Ligase
2. Ribonuclease
3. Ribozyme
4. Ribosome

Correct answer: 3. Ribozyme

Explanation: Ans. is 'c' i.e., Ribozyme There are five classes of ribozymes :Ribonuclease PHammerheadTetrahymena group I intron HDV ribozymeHairpin ribozyme